Facial nerve stimulation during testing of nerve indicated by contraction of which muscle?
1. Temporalis
2. Masseter
3. Sternocleidomastoid
4. Orbicularis oris

Correct answer: 4. Orbicularis oris

Explanation: Facial nerve supplies the muscles of the facial expression like orbicularis oris. 
Muscles of mastication like masseter and temporalis are supplied by the mandibular nerve, a branch of trigeminal nerve.
Spinal accessory nerve supplies sternocleidomastoid and the trapezius.